A 32 year old female patient underwent extraction of an upper first molar on right side and 0.3 mm of perforation was created into the sinus wall.
Caldwell luc incision begins from
1. Canine fossa
2. Tuberosity
3. Zygomatic buttress
4. Above the communication

Correct answer: 1. Canine fossa